A diagnosed case of psoriasis, taking MTX since last 15 yrs presents with jaundice and abnormal LFT. So, what will be the course of management:
1. Stop Mtx, start dapsone
2. Mtx + cyclosporine
3. Stop Mtx, start steroids
4. Stop Mtx, start cyclosporine

Correct answer: 4. Stop Mtx, start cyclosporine

Explanation: Methotrexate is hepatotoxic drug- Therefore, abnormal liver function test & jaundice (in history)- Next step- stop Mtx- Therefore, B is ruled out 3 systemic drugs used in psoriasis1. Mtx (Teratogenic, hepatotoxic)2. Cyclosporine (nephrotoxic)-3H( HTN, Hypertriglyceridemia , Hypertrichosis)3. Acitretin- teratogenic, dyslipidemia. In psoriasis systemic steroids are C/I Dapsone have no role.